What is the mechanism of action of Fluconazole?
1. Inhibits fungal mitosis
2. Inhibits lanosterol 14 demethylase
3. Inhibits squalene epoxidase
4. Inhibit ß1,3 glucan synthase

Correct answer: 2. Inhibits lanosterol 14 demethylase

Explanation: Ref. KDT. Page. 793
Fluconazole

They inhibit the fungal cytochrome P450 enzyme ‘lanosterol 14-demethylase’ and thus impair ergosterol synthesis leading to a cascade of membrane abnormalities in the fungus.
lower affinity for mammalian CYP450 enzymes and lesser propensity to inhibit mammalian sterol synthesis – causes less side effects
It is a water-soluble triazole having a wider range of activity
Indications include cryptococcal meningitis, systemic and mucosal candidiasis in both normal and immunocompromised patients, coccidioidal meningitis and histoplasmosis